Disadvatage to calculate mean-
1. Difficult to calculate
2. Difficult to understand
3. May be influenced by abnormal high or low values
4. None

Correct answer: 3. May be influenced by abnormal high or low values

Explanation: Ref: Parks 23rd edition pg 847 Mean: Advantages: Easy to calculate and understand. Disadvantages: Unduly influenced by abnormal values in the distribution.